Kanagawa phenomenon on wagatsuma agar is shown by
1. V.Cholerae
2. V.Parahemolyticus
3. V.Vulinificus
4. V.alginotyticus

Correct answer: 2. V.Parahemolyticus

Explanation: Kanagawa phenomenon is enhanced β hemolysis shown by V.parahemolyticus.